Regional specification of stomach is by gene ?
1. SOX2
2. CDXC
3. CDXA
4. None of the above

Correct answer: 1. SOX2

Explanation: Regional specification of the gut tube into different components occurs during the time that the lateral body folds are bringing the two sides of the tube together. Specification is initiated by transcription factors expressed in the different regions of the gut tube. Thus, SOX2 "specifies" the esophagus and stomach; PDX1, the duodenum; CDXC, the small intestine; and CDXA, the large intestine and rectumRef: LANGMAN'S EMBRYOLOGY 11TH ED Chapter 14.